Iloprost in Pulmonary Arterial Hypertension is administered:
1. Intravenous
2. Intramuscular
3. Oral
4. Inhalation

Correct answer: 4. Inhalation

Explanation: Answer is D (Inhalation): European Society of Cardiology (ESC) Guidelines for the diagnosis and treatment of pulmonary hypertension Iloprost is a Prostacyclin analogue approved inhalation for treatment of Pulmonary Arterial Hypertension (PAH).